Volume of blood in a child, per kg of body weight-
1. 60-70 ml
2. 100-150 ml
3. 150-200 ml
4. 200-250 ml

Correct answer: 1. 60-70 ml

Explanation: Ans. is 'a' i.e., 60-70 ml AgeBlood volume (Rough estimate)Preterm newborn90 ml/kgTerm newborn80 ml'kgInfant (1 month -12 months)75 ml/kgToddlers (1 year-3 years)70 ml/kgChildren and Teens65 ml/kg